The three Landmarks which determine skeletal convexity
are:
1. Glabella, prosthion and supramentale
2. Nasion, sella and articulare
3. Nasion, subspinale and pogonion
4. Orbitale, anterior nasal spine and pogonion

Correct answer: 3. Nasion, subspinale and pogonion